With reference to infections with Escherichia coli the following are true except -
1. Enteroaggregative E. coli is associated with Persistent diarrhoea.
2. Enterohemorrhagic E. coli can cause haemolytic uraemic syndrome
3. Enteroinvasive E. coli produces a disease similar to salmonellosis.
4. Enterotoxigenic E. coli is a common cause of travelers' diarrhoea

Correct answer: 3. Enteroinvasive E. coli produces a disease similar to salmonellosis.